Lignocaine is used in -
1. Atrial fibrillation
2. Atrial flutter
3. PSVT
4. Ventricular tachycardia

Correct answer: 4. Ventricular tachycardia

Explanation: Ans. is 'd' i.e., Ventricular tachycardia o Lidocaine is used principally for ventricular arrhythmia, especially those complicating myocardial infarction.o Lidocaine is DOC for digitalis induced ventricular arrhythmias.